About tetanus, all of the following are true except?
1. Trismus
2. Generalized rigidity/muscle rigidity
3. Coagulopathy
4. Respiratory failure

Correct answer: 3. Coagulopathy